Long term adverse effect of tamoxifen is
1. Weight gain
2. Osteoporosis
3. Venous thrombosis
4. Breast cancer

Correct answer: 3. Venous thrombosis

Explanation: TAMOXIFEN - It is SERM - Actions Bone - | formation of bone; decrease risk of osteoporosis Blood - | HDL Breast -Decrease risk of breast cancer Liver - | clotting factor leading to thromboembolism Endometrium - | risk of endometrial cancer